End point of D/C is ?
1. After 2 strokes
2. Presence of fresh bleeding
3. Uterine cry
4. All of the above

Correct answer: 3. Uterine cry

Explanation: Ans. is 'c' i.e., Uterine cryThe curette should be inserted gently to the uterine fundus and withdrawn slightly. To decrease the risk of perforation, do not force the curette.The end point of this scrubbing should be the detection of a scratching/grating sensation or sound (the "uterine cry"), which represents a sharp curette running over myometrium. Too vigorous a pursuit of this end point may lead to formation of synechiae (Asherman's syndrome).